Candle wax dripping sign is seen in
1. Sarcoidosis
2. SLE
3. HIV
4. Rheumatoid arthritis

Correct answer: 1. Sarcoidosis

Explanation: Answer- A. SarcoidosisCondle wax chipping sign is a feature of occular Sarcoidosis.